Most important factor determining the affect of anaesthetic agent on fetus
1. Duration of pregnancy
2. MAC
3. Protein binding
4. Route of anaesthetic

Correct answer: 1. Duration of pregnancy

Explanation: All the given options determined the effect of anaesthetic on fetus. But, duration of pregnancy is the most importantAlmost all anaesthetic agents can be potentially teratogenicDay 15th to day 60 is the most critical period.(Refer: Morgan and Mikhail's Clinical Anaesthesiology, 5th edition, pg no. 846)